Shrink free ceramic is known as?
1. Cerestore
2. Captek
3. IPS Empress
4. Dicor

Correct answer: 1. Cerestore